Dying declaration can be recieved by :
1. Medical officer
2. Lawyer
3. Police officer
4. All

Correct answer: 4. All

Explanation: D i.e. All